Drug which shows concentration dependent killing:
1. Aminoglycosides
2. Azithromycin
3. Beta lactam
4. Chloramphenicol

Correct answer: 1. Aminoglycosides

Explanation: Ans. A. AminoglycosidesSome of the antibiotics show efficacy when their levels are maintained at higher concentration. Aminoglycosides, fluoroquinolones and metronidazole are concentration dependent drugs. Other type is time dependent killing where concentration should be above MIC as long as possible, beta lactam and vancomycin show time dependent killing.